Reinke crystals are found in
1. Arrhenoblastoma
2. Granulosa cell tumor
3. Dysgerminoma
4. Hilus cell tumor

Correct answer: 4. Hilus cell tumor

Explanation: Hilus cell tumor: Rare virilizing tumor Arises from cells in the ovarian hilum Presence of Reinke crystals in the cells is the distinguishing feature of leydig or interstitial cells of testis Ref: Shaw Gynecology 17e pg 449.